Phospholipid associated with mechanism of hormone action is
1. Phosphatidyl choline
2. Phosphatidyl lecithin
3. Plasmalogen
4. Phosphatidyl inositol

Correct answer: 4. Phosphatidyl inositol

Explanation: Phosphatidylinositol Is a Precursor of Second Messengers The inositol is present in phosphatidylinositol as the stereoisomer, myoinositol. Phosphatidylinositol 4,5 bisphosphate is an important constituent of cell membrane phospholipids? upon stimulation by a suitable hormone agonist, it is cleaved into diacylglycerol and inositol trisphosphate, both of which act as internal signals or second messengers.